True regarding felty's syndrome is all, EXCEPT:
1. Splenomegaly
2. Rheumatoid arthritis
3. Neutropenia
4. Nephropathy

Correct answer: 4. Nephropathy

Explanation: Ans. is 'd' Nephropathy Felly's syndrome consists ofChronic rheumatoid arthritis*Splenomegaly*Neutropenia*Sometimes anaemia or thrombocytopenia may be associated with Felty's syndrome.Patients with Felty's syndrome frequently have high litre of Rheumatoid factor*